Marsh's test is used for detection of
1. Arsenic
2. Lead
3. Strychnine
4. Mercury

Correct answer: 1. Arsenic

Explanation: A i.e. Arsenic